In adults, the spinal cord normal ends at:
1. Lower border of L1
2. Lower border of L3
3. Lower border of S1
4. Lower border of L5

Correct answer: 1. Lower border of L1